36 year old lady was diagnosed with Papillary carcinoma thyroid , total thyroidectomy was done but whole body iodine scan came out to be positive . What should be the next step in management ?
1. Re-exploration
2. Radio-iodine ablation
3. USG-neck
4. Bi-annual follow-up

Correct answer: 2. Radio-iodine ablation

Explanation: Radio Active Iodine Ablation I 131 emits beta- rays (90%) and gamma- rays (10%) Beta rays are responsible for therapeutic effects Depth of penetration of beta rays -0.5 mm(Ablates only thyroid, even parathyroids are safe) Gamma rays are responsible for side effects Indications of RAI Ablation Elderly Patients Patient with surgical co-morbidities Recurrence after surgery Absolute contraindication(because gamma rays are emitted) Pregnancy Lactation